All of the following are the good prognostic features Hodgkin's disease except:
1. Haemoglobin>10 gm/dl
2. WBC count<15000/mm3
3. Absolute lymphocyte count<600/u1
4. Age < 45 yrs

Correct answer: 3. Absolute lymphocyte count<600/u1

Explanation: Answer is C (Absolute lymphocyte count < 600/mm3) An absolute Lymphocyte count ofsymptoms) These factors predict prognosis in patients with clinical stages I and II in Hodgkin's disease.